Which of the following statements about Transfusion-Related Acute Lung Injury(TRALI) is true:
1. Is more common if blood is donated by a multiparous women
2. Is most common after red cell transfusion
3. Is usually seen between 12 and 24 hours after transfusion
4. Is associated with high pulmonary artery wedge pressures

Correct answer: 1. Is more common if blood is donated by a multiparous women

Explanation: Blood donors most commonly implicated in TRALI are multiparous women. Definition TRALI: The clinical syndrome is Transfusion-Related Acute Lung injury (TRALI) is characterized by the acute onset of respiratory distress during or within six hours of transfusion, associated with oxygen desaturation hypoxaemia) and bilateral lung infiltrates, without evidence for left atrial hypertension or circulatory overload. TRALI was defined by the National Heart, Lung and Blood Institute working Group as an acute lung injury (ALI) that develops within 6 hours after blood transfusion. Most investigators have postulated that TRALI is an immune-mediated event. The pathogenic alloantibodies are typically of donor origin. Most of the donors implicated in TRALI have been multiparous women who became allo-immunized during pregnancy. This is usually associated with maternal antibody formation after exposure to paternally derived allo-antigens on the fetal white blood cells entering the maternal circulation during pregnancy. Ref: Harrisons 20th edition